Posterior iliac horns are seen in -
1. Fisher's syndrome
2. Crouzan syndrome
3. Nail patella syndrome
4. Pierre Robbins syndrome

Correct answer: 3. Nail patella syndrome

Explanation: Ans is 'c' i.e., Nail-patella syndrome Nail Patella syndrome is characterized by : o Small or absent nails o Small or absent patella o Posterior iliac horns o Renal anomalies Overextension ofjoints o Skin laxity o Hyperhydrosis